Cholecystocaval line:-
1. Separate right anterior and right posterior sectors
2. Separate gall bladder from portal vein
3. Separate right and left hepatic lobes
4. Separate left medial and left lateral sectors

Correct answer: 3. Separate right and left hepatic lobes

Explanation: Cholecystovenacaval line: - Is an imaginary line which passes through groove for IVC to the gallbladder fossa and separates right & left hepatic lobe functionally.